Multifactorial causation of disease theory was proposed by
1. Louis Pasteur
2. Pettenkofer
3. Robert Koch
4. Aristotle

Correct answer: 2. Pettenkofer

Explanation: Traits and conditions that are caused by more than one gene occurring together are multifactorial, and diseases that are caused by more than one factor interacting (for example, heredity and diet in diabetes) are multifactorial. Ref: 25th edition, Park's Textbook of Preventive and Social Medicine, Page no. 40